Most common causeof acute intestinal obstruction is :
1. Small bowel adhesions
2. Intussusception
3. Tuberculosis
4. Malignancy

Correct answer: 1. Small bowel adhesions

Explanation: Intra-abdominal adhesions related to prior abdominal surgery account for upto 75% of the cases of small bowel obstruction. Intestinal Obstruction
Causes
Intraluminal (Eg. Foreign bodies, gallstones, or meconium)
Intramural (Eg. Tumors, Crohn’s disease – associated inflammatory strictures)
Extrinsic (Eg. Adhesions, hernias, or carcinomatosis)
Clinical Presentation :
Colicky abdominal pain, nausea, vomiting, abdominal distension and constipation are seen.
Constipation is not seen in : Richter’s hernia obstruction, gall stone obstruction, mesenteric vascular occlusion.
Vomiting is a more prominent symptom with proximal obstructions than distal.